Pruned tree appearance of pulmonary circulation is a feature of
1. Pulmonary stenosis
2. Pulmonary regurgitation
3. Pulmonary embolism
4. Pulmonary artery Hypertension

Correct answer: 4. Pulmonary artery Hypertension

Explanation: Prunel tree appearance of pulmonary circulation in X-ray - Pulmonary artery hypertenion.
Prunel tree appearance of pulmonary circulation in ERCP or MRCP - Primary scleroing cholangitis.